Type II bipolar disorder includes a combination:
1. Hypomania + depression
2. Hypomania + subsyndromal depression
3. Mania + subsyndromal depression
4. Hypomania + dysthymia

Correct answer: 1. Hypomania + depression

Explanation: Ans. a. Hypomania + depression Type If bipolar disorder includes a combination Hypomania and depression.Bipolar Mood (Affective) Disorder* Bipolar disorder or mania depressive psychosis is characterized by unpredictable swings in mood from mania (or hypomania) to depression at different times and in the intervening period, patient may be normal(r).Bipolar Type 1Bipolar Type II* Characterized by clinical course of >1 manic (severe) episodes and sometimes major (severe) depressive episodes (i.e. recurrent manic episodes with or with out depression).* Characterized by episodes of major (severe) depression and hypomania (not requiring hospitalization} rather than mania.